All of the following are true regarding diphtheria except-
1. Tonsillar membrane cab be easily wiped off
2. There may be swelling of neck causing bull neck appearance
3. With high degree of immunity a membrane may never appear
4. In laryngeal diphtheria, tracheostomy may be needed to relieve respiratory obstruction

Correct answer: 1. Tonsillar membrane cab be easily wiped off